Japanese encephalitis is transmitted by:
1. Aedes
2. Culex
3. Anopheles
4. Mansonia

Correct answer: 2. Culex

Explanation: Ans: b (Culex) Ref: Park, 19th ed, p. 626, Table 5Mosquito borne diseases in India:Type of mosquitoDiseaseAnophelesMalaria,Filaria (Not in India)CulexBancroftian filariasis,Japanese encephalitis, West Nile fever, Viral arthritis,AedesYellow fever(Not in India),Dengue,chikungunya fever, Rift valley fever,Filaria (Not in India)MansonoidesMalayan(brugian) filariasis, Chikungunya